Which of the following microorganism initially colonise the burns wound?
1. E. Coli
2. Staphylococcus
3. Proteus
4. Pseudomonas

Correct answer: 2. Staphylococcus

Explanation: Ans. B. Staphylococcus. (Ref. Bailey and Love 25th/pg. 387)Staphylococcus colonizes burn wounds.Infection control in burns patients# Bums patients are immunocompromised# They are susceptible to infection from many routes# Sterile precautions must be rigorous# Swabs should be taken regularly# A rise in white blood cell count, thrombocytosis and increased catabolism are warnings of infection.# Silver sulphadiazine cream (1 %). This gives broad- spectrum prophylaxis against bacterial colonisation and is particularly effective against Pseudomonas aeruginosa and also methicillin-resistant Staphylococcus aureus.Also know:Staphylococcus aureus (Gram-positive cocci in clusters. Protein A (virulence factor) binds Fc-IgG, inhibiting complement activation and phagocytosis. Commonly colonizes the nose. Causes)Inflammatory disease--skin infections, organ abscesses, pneumonia (often after influenza virus infection), endocarditis, and osteomyelitis. Toxin-mediated disease--toxic shock syndrome (TSST-1), scalded skin syndrome (exfoliative toxin), rapid-onset food poisoning (enterotoxins). MRSA (methicillin-resistant S. aureus) infection--important cause of serious nosocomial and community-acquired infections; resistant to methicillin and nafcillin because of altered penicillin- binding protein. TSST is a superantigen that binds to MHC II and T-cell receptor, resulting in polyclonal T-cell activation. Presents as fever, vomiting, rash, desquamation, shock, end-organ failure. Use of vaginal or nasal tampons predisposes to toxic shock syndrome. S. aureus food poisoning due to ingestion of preformed toxin^short incubation period (2-6 hr). Enterotoxin is heat stable.Staphylococcus epidermidisInfects prosthetic devices and intravenous catheters by producing adherent biofilms. Component of normal skin flora; contaminates blood cultures. Novobiocin sensitive.Staphylococcus saprophyticusSecond most common cause of uncomplicated UTI in young women (first is E. coli). Novobiocin resistant